Primary pyodermas are:
1. Impetigo contagiosa
2. Ecthyma
3. Furncle
4. All

Correct answer: 4. All

Explanation: A i.e. Impetigo contagiosa; B i.e. Ecthyma; C i.e. Furncle - Pyoderma gangrenosum (PG) is non infectious neutrophilic dermatosis commonly associated with underlying systemic disese like UC, Chrons etc. Pyostomatitis vegetans, malignant pyoderma, superficial vegetative granulomatous pyoderma, ulcerative/pustular/bullous erruptions of UC are variants of PG.Pyoderma faciale also k/a rosacea fulminans or rosacea conglobata occurs mainly in adult women (in 20s) and is characterized by sudden, severe erruption of confluent papules, nodules, pustules, cystic swellings which may be interconnected by draining sinuses usually confined to face, involving checks, chin, nose & forehead within a background of diffuse facial erythema. Comedones are usually absent or inconspicuous, as are other features of acne vulgaris or rosacea (& yet unclear whether this is a variant of these or a seperate entity). Some cases may develop during pregnnacy or medication (interferon a-2B & ribavirin therapy for hepatitis C)Impetigo herpetiformis is variant of pustular psoriasisQ attributed to hormonal alterations during pregnancy (generally during 3rd trimester)Q. Absence of positive family history, abrupt resolution of symptoms at delivery and a tendency to only recur during subsequent pregnancies distinguish this from generalized pustular psoriasis. Impetigo contagiosaQ, bullous impetigo, ecthymaQ, botryomycosis, superficial folliculitis (follicular or Bockha impetigo), folliculitis (sycosis barbae)Q, furncle (boil)Q, carbuncle, blistering distal dactylitis and paronychia are superficial primary pyodermas caused by staph.aureus. Whereas, impetigo, ecthyma, blistering distal dactylitis (in noninteriginous skin) and interigo, vulvovaginitis & perianal cellulitis (in inter triginous skin) are superficial primary pyodermas caused by group A streptococci. Pyoderma gangrenosum, pyoderma faciale & impetigo herpetiformis are not pyodermasQ.Trichomycosis axillaris & pubis is a bacterial (aerobic corynebacterium) not fungal infection of hair shaft. Erythrasma is superficial bacterial infection of skin caused by corynebacterium minutissimumQ.